Area of fundus seen with direct ophthalmoscope
1. 1 DD
2. 2 DD
3. 3 DD
4. 4 DD

Correct answer: 2. 2 DD

Explanation: Ans. 2 DD